A 56-year-old man presents with a 2-week history of fatigue. The patient's past medical history is significant for aortic and mitral valve replacement 5 months ago. A CBC shows moderate anemia with an increased reticulocyte count. Which of the following best explains the pathogenesis of anemia in this patient?
1. Complement-mediated hemolysis
2. Decreased blood flow
3. Direct red cell trauma
4. Sludging of erythrocytes

Correct answer: 3. Direct red cell trauma

Explanation: - Features given in the question point towards Macroangiopathic hemolytic anemia; most commonly results from direct red cell trauma d/t abnormal vascular surface (e.g., prosthetic heart valve) - Red cell fragmentation syndromes: Disorders in which erythrocytes are subjected to mechanical disruption as they circulate in the blood (intravascular hemolysis). Classified as macroangiopathic (large vessels), as in this case; microangiopathic (capillaries), according to site of hemolysis. Caused d/t alteration of endothelial surface of blood vessels or disturbances in blood flow patterns resulting in turbulence & increased shear stress.